Microcytosis is seen in -
1. Thalassemia
2. Hb Lepore
3. Hb bart's
4. All of the above

Correct answer: 4. All of the above

Explanation: Causes of microcytosis (MCV < 80fl)
• Iron deficiency anemia
• Thalassemia
• Sideroblastic anemia
• Anemia of chronic disease
In Hb Barts, all the four a chain genes are deleted resulting in formation of Barts Hb.
In Hb Lepore, there is nonhomologus fusion of b and d genes and forms an abnormal hemoglobin with total absence of normal b chain. It is one of the form of b thalassemia minor.